Which of the following enzyme is free radical scavenger?
1. Glutathione peroxidase
2. NADH oxidase
3. Hydrogen peroxidase
4. Hypochlorous

Correct answer: 1. Glutathione peroxidase

Explanation: Antioxidant - that significantly delays or inhibits oxidation of a substrate. It may be considered as the scavengers of free radicals. ENZYMATIC oxidant - superoxide dismutase, catalase, glutathione peroxidase, glutathione reductase Non enzymatic oxidant - vitamin E , VITAMIN C, VITAMIN A and selenium Glutathione peroxidase catalyzes the destruction of hydrogen peroxide. Fenton's reaction generates hydroxyl radical from H2O2 Superoxide dismutase generates H2O2from superoxide NADPH oxidase reaction generates superoxide from oxygen